Which of the following is not a signiﬁcance of centric relation?
1. This position is independent of tooth contact or position.
2. Mounting errors can be detected if centric relation is taken as horizontal reference  point.
3. It helps in orienting the maxillary cast to opening axis of articulator.
4. It helps in developing occlusion for complete denture patients.

Correct answer: 3. It helps in orienting the maxillary cast to opening axis of articulator.

Explanation: Face bow is to orient the maxillary cast with opening axis of articulator and mandible.